Adenosine deaminase In CSF Is significantly higher In
1. Tuberculous meningitis
2. BacteriaI meningitis
3. Viral meningitis
4. Syphilitic meningitis

Correct answer: 1. Tuberculous meningitis

Explanation: Tuberculous meningitis (TBM) is the most common form of central nervous system tuberculosis (TB) and has very high morbidity and mortality. TBM is typically a subacute disease with symptoms that may persist for weeks before diagnosis Ref Harrison20th edition pg 2456